Cirsoid aneurysms most commonly occur in which of the following vessels
1. Aortic arch
2. Splenic artery
3. Saphenous vein
4. Superficial temporal artery

Correct answer: 4. Superficial temporal artery

Explanation: Cirsoid aneurysms are rare arterio-venous fistulas of the scalp. They are usually congenital in aetiology. In 90% of the patients, the superficial temporal artery is the main supply to the fistula ref - pubmed.com